Defect in Orexin production is seen in
1. Hearing defect
2. Narcolepsy
3. Kluver-Bucy syndrome
4. Voracious appetite

Correct answer: 2. Narcolepsy

Explanation: In Narcolepsy there is defect in Orexin production